Not a component of communication process
1. Sender
2. Message
3. Feedback
4. Propaganda

Correct answer: 4. Propaganda

Explanation: Component of communication process :

Sender.
Message.
Receiver.
Feedback.
Channels.